UDP Glucose is formed from
1. Glucose-1-phosphate
2. Glycogen
3. Lactose phosphate
4. Starch

Correct answer: 1. Glucose-1-phosphate

Explanation: UDP glucose is formed from glucose-1-phosphate and UTP (uridine triphosphate) by the enzyme UDP-glucose pyrophosphorylase.
Reference: Vasudevan 7th  ed, pg 125